Which of the following is an example of a directly acting toxin?
1. Acetaminophen
2. Mercuric chloride
3. Carbon tetrachloride
4. Bromobenzene

Correct answer: 2. Mercuric chloride

Explanation: Directly acting toxins:
Some toxins act directly by combining with a critical molecular component or cellular organelle. For example, in mercuric chloride poisoning, mercury binds to the sulfhydryl groups of various cell membrane proteins, causing inhibition of ATP-dependent transport and increased membrane permeability.